Perifascicular atropy of muscle fibres is seen in
1. Steroid myopathy
2. Dermatomysotis
3. Inclusion body myositis
4. Nemaline myopathy

Correct answer: 2. Dermatomysotis

Explanation: Inflammatory Myopathies Dermatomyositis is the most common Inflammatory myopathy in children. On microscopic examination it is associated with perivascular mononuclear cell infiltrates, dropouts of capillaries, the presence of so called tubuloreticular inclusions in endothelial cells, and myofiber damage in a paraseptal or perifascicular pattern. Robbins basic pathology 9th edition page no 805,heading=